Prognosis of breast cancer is best determined by:
1. Axillary node involvement
2. Skin infiltration
3. Size of the tumour
4. Estrogen receptor status

Correct answer: 1. Axillary node involvement

Explanation: Ans. A: Axillary node involvement The best indicators of likely prognosis in breast cancer remain tumour size and lymph node status; however, it is realized that some large size tumours will remain confined to the breast for decades whereas some very small tumours are inoperable at diagnosis. Hence, the prognosis of a cancer depends not on its chronological age but on its invasive and metastatic potential